In cases of medical emergencies, an invasive technique
to deal with airway obstruction is:
1. Chest thrust
2. Abdominal thrust
3. Mouth to mouth resuscitation
4. Laryngoscopy

Correct answer: 4. Laryngoscopy